Sukhia Rani, a 16-year old girl who has non-pitting edema of recent onset affecting her right leg but no other symptoms is referred for evaluation. Which of the following statement is true regarding this patient?
1. Prophylactic antibiotics are indicated
2. A lymphagiongram will show hypoplasia of the lymphatics
3. Elastic stocking and diuretics will lead to a normal appearance of the limb
4. A variety of operations will ultimately lead to a normal appearance of the limb

Correct answer: 2. A lymphagiongram will show hypoplasia of the lymphatics

Explanation: The girl in the question suffering from non pitting edema in the lower limb is suffering from Lymphedema praecox. Lymphangiogram in this girl will show hypoplasia of the lymphatics. Lymphedema precox is the most common form of primary lymphedema. It is more common in women, than men occurring in a ratio of 10:1. It has its onset typically during childhood or the teenage years, and the swelling involves the foot and calf. Ref: Schwartz's Principles of Surgery, 9th Edition, Chapter 24